Which one of the following is seen in facial palsy?
1. Drooping of eyelid
2. Loss of taste sensation in anterior 2/3 of tongue
3. Excess of saliva secretion
4. Loss of general sensation in cheek

Correct answer: 2. Loss of taste sensation in anterior 2/3 of tongue

Explanation: Facial palsy is the paralysis of facial musculature (motor activity) and not the general sensation of the face (Face is supplied by trigeminal nerve). Facial palsy is characterised by inability to close the eye, drooping of the corner of the mouth resulting in drooling of saliva, absence of wrinkles on the forehead and a mask like face. Drooling of saliva is due to the drooping of corner of the mouth and not overproduction or ptyalism. Speech and eating becomes difficult and occasionally taste sensation on the anterior 2/3rd of tongue may be lost or altered.